Drug not used in multiple sclerosis-
1. Interferon-β-la
2. Interferon-β-lb
3. Glatiramer acetate
4. Mycophenolate

Correct answer: 4. Mycophenolate